Which of the following is not a feature of congenital hypothyroidism
1. Thyroid agenesis
2. Microcephaly
3. Wide open anterior fontanelle
4. Drooling

Correct answer: 2. Microcephaly

Explanation: Causes of microcephaly include infections, malnutrition or exposure to toxins.
Symptoms vary and include intellectual disability and speech delay. In severe cases, there may be seizures and abnormal muscle functionality.
There is no cure for microcephaly. Treatment involves supportive care, symptom management and close monitoring.